Best site for measuring skin fold thickness
1. Subscapular region
2. Mid triceps
3. Abdominal region
4. Mid thighs

Correct answer: 2. Mid triceps